After multiple tooth extraction, suture is placed at:
1. Interdental septum
2. Across the socket
3. Adjacent tooth
4. None of the above

Correct answer: 1. Interdental septum